Hill Sach's lesion is seen in:
1. Recurrent dislocation of shoulder
2. Recurrent dislocation of patella
3. Perthe's disease
4. Slipped capital femoral epiphyses

Correct answer: 1. Recurrent dislocation of shoulder

Explanation: Ans. A i.e. Recurrent dislocation of shoulder